Short chain fatty acid produced by bacteria are maximally absorbed in
1. Duodenum
2. Ileum
3. Jejunum
4. Colon

Correct answer: 4. Colon

Explanation: (Refer: Ganong's Review of Medical Physiology 24thedition, pg no: 483-484)